One of the following antihypertensive is NOT used in pregnancy:
1. Enalapril
2. Methyldopa
3. Hydralazine
4. Nifedipine

Correct answer: 1. Enalapril

Explanation: Enalapril is an ACE INHIBITOR which causes oligohydramnios, hypocalvaria and renal dysfunction which leads to IUGR. Commonly Used Drugs in the Management of Pre-eclampsia Drug Mode of action Labetalol Adrenoceptor antagonist (a and b blockers) Nifedipine Calcium channel blocker Methyl-dopa Central and peripheral anti adrenergic action Hydralazine Vascular smooth muscle relaxant